In a person who has fasted for 5 days, all are seen except:
1. GH levels decreased
2. Glucose tolerance decreased
3. Immunoreactive insulin decreased
4. Free fatty acids (Plasma) increased

Correct answer: 1. GH levels decreased